For assessing new disease with no etiological hypothesis which is the best study
1. Cohort study
2. Case control study
3. Randomised control trial
4. Descriptive epidemiology

Correct answer: 4. Descriptive epidemiology